Kata Thermometer is used for recording -
1. Maximum and minimum temperature
2. Low air velocities
3. Relative humidity of the air
4. Mean radiant temperature

Correct answer: 2. Low air velocities

Explanation: Kata thermometer: It's an alcohol thermometer Reading is from 100 F to 96 F Two instruments have used, the bulb of one is covered with wet muslin cloth called Wet Kata thermometer and the one without covering is Dry kata thermometer. Kata thermometer was initially designed for measurement of "cooling power" of air. now it is largely used as anemometer for recording low air velocity Park's Textbook of Preventive and Social Medicine, 25th Edition, Pg 807